Which of the following is added to prevent polymerization of polymer during storage
1. Hydroquinone
2. Benzoyl peroxide
3. Tertiary amine
4. camphoroquinone

Correct answer: 1. Hydroquinone